All of the following structures forms the boundries of epiploic foramen, EXCEPT:
1. Caudate process of liver
2. Inferior vena cava
3. 4th part duodenum
4. Free border of lesser omentum

Correct answer: 3. 4th part duodenum

Explanation: Epiploic foramen also known as foramen of winslow is a vertical slit like opening, through which the lesser sac communicates with the greater sac.Boundaries of the epiploic formen:Anteriorly: by lesser omentum containing portal vein, hepatic artery and bile duct.Posteriorly: suprarenal gland inferior vena cava and T12 vertebra.Superiorly: caudate lobe of liver.Inferiorly: 1st part of duodenum and hepatic artery.Ref: Cunningham's textbook of anatomy, By Daniel John Cunningham, Page 1239